Definite diagnosis of pregnancy include all, except:
1. Fetal heart sound
2. Palpation of fetal parts
3. Fetal skeleton on X-ray
4. hCG in blood

Correct answer: 4. hCG in blood

Explanation: Ans. hCG in blood